Which of the following reflexes is not present at birth
1. Asymmetric Tonic Neck Reflex
2. Moro's Reflex
3. Symmetric tonic neck reflex
4. Crossed extensor reflex

Correct answer: 3. Symmetric tonic neck reflex

Explanation: Symmetric tonic neck reflex appears by 4-6 months and disappears by 8 - 12 months. Moro's reflex - hand opening appears by 28 wks, extension and abduction of the upper extremities by 32 wks and anterior flexion by 37 wks of intrauterine life and disappears by 3 - 6 months after birth. Asymmetric tonic neck reflex appears by 35 wks of intrauterine life and disappears by 4 - 6 months after birth. Crossed extension response begins at 28 weeks gestation and disappears by 1-2 month. Reference : page 142 Ghai Essential Pediatrics 8th edition and page 15 Paediatric Clinical examination A Santhosh Kumar